A 52 year female pt. presents with symptoms of pheochromocytoma. She also has a thyroid carcinoma. Her thyroid Ca is of which type :
1. Anaplastic
2. Medullary
3. Folliculare
4. Papillary

Correct answer: 2. Medullary

Explanation: Ans. is 'b' ie. Medullary carcinoma (Ref Harrison 17/e p2359 (16/e, p 2231, 15/e, p 2185) & Q. Nov. 2000)Pt. is having MEN syndrome type II.MEN syndrome is associated with medullary Ca of thyroid.